Which pox wont grow in egg, animal cells -
1. Cow pox
2. Vaccinia
3. Variola
4. Molluscum

Correct answer: 4. Molluscum

Explanation: Molluscum cannot be grown in eggs, tissue cultures or animals. REF:ANANTHANARAYAN AND PANIKER'S TEXTBOOK OF MICROBIOLOGY 9TH EDITION PAGE NO:465